Posterior relation of hilum of lung ?
1. Azygous vein
2. SVC
3. Vagus nerve
4. Arch of aorta

Correct answer: 3. Vagus nerve

Explanation: Vagus nerve